During the cardiac cycle the opening of the aortic valve takes place at
1. Beginning of systole
2. End of isovolumetric contraction
3. End of Diastole
4. End of diastasis

Correct answer: 2. End of isovolumetric contraction